In recent memory loss probable lesion is in-a) Thalamusb) Temporal lobec) Frontal lobed) None
1. ac
2. a
3. ab
4. bc

Correct answer: 3. ab